One of the following is the t/t of choice for dermatitis herpetiformis –
1. Corticosteroids
2. Dapson
3. Mtx
4. Retinoids

Correct answer: 2. Dapson

Explanation: Main treatment of dermatitis herpetiformis is gluten free diet and dapsone.